Which of the following is the longest acting ocular Beta blocker
1. Timolol
2. Betaxolol
3. Cartiolol
4. Metoprolol

Correct answer: 2. Betaxolol

Explanation: Ref-KDT 6/e p145 Betaxolol is a cardioselective Beta blocker useful in glaucoma.it is longer acting than timolol .another non selective Beta blocker used topically for the treatment of glaucoma is levobunolol.